Management of prolonged Scoline apnea is by
1. Exchange transfusion
2. Estimation of plasma cholinesterase
3. Continuation of artificial ventilation
4. Reversal with neostigmine

Correct answer: 3. Continuation of artificial ventilation

Explanation: Suxamethonium apnea and phase 2 block both are managed with mechanical ventilation till recovery. The mainstay treatment for succinylcholine apnea due to atypical pseudocholinesterase is to continue mechanical ventilation until muscle function returns to normal by clinical signs. Administration of neostigmine is controversial as the effects may be transient, possibly followed by intensified neuromuscular blockade. Fresh frozen plasma can augment the patient's endogenous plasma pseudocholinesterase activity but is not recommended because of the risk of iatrogenic viral infectious complications. If human plasma cholinesterase is available, it can be given to reverse neuromuscular blockade. Hence, the best option here would be to continue mechanical ventilation.